VEGF is involved in all of the process of angiogenesis except:
1. Migration and proliferation of endothelial cells
2. Capillary sprouting
3. Enhances the production of ECM proteins
4. Increased vascular permeability

Correct answer: 3. Enhances the production of ECM proteins

Explanation: VEGFs, mainly VEGF-A, stimulates both migration and proliferation of endothelial cells, thus initiating the process of capillary sprouting in angiogenesis. It promotes vasodilation by stimulating the production of NO and contributes to the formation of the vascular lumen.
Newly formed vessels are leaky because of incomplete interendothelial junctions and because VEGF, the growth factor that drives angiogenesis, increases vascular permeability.
TGF-β suppresses endothelial proliferation and migration, and enhances the production of ECM proteins.
Robin’s Textbook of pathology 10th ed  Page 91